All the following are Anatomical events at insertion of Coracobrachialis except
1. Circular shaft of humerus becomes Triangular below this level
2. Brachial artery passes from medial side of arm to its anterior aspect
3. Cephalic vein pierces deep fascia
4. Nutrient artery pierces the Humerus

Correct answer: 3. Cephalic vein pierces deep fascia

Explanation: Basilic vein pierces deep fascia at this level, not cephalic vein Insertion Of Coracobrachialis is an important landmark as many anatomical events occur at this level:The circular shaft of the humerus becomes triangular below this level.Brachial artery passes from medial side of arm to its anterior aspectBasilic vein pierces the deep fascia.Median nerve crosses in front of the brachial artery from the lateral to the medial side.Radial nerve pierces lateral intermuscular septum to pass from the posterior compartment to the anterior compartment.Ulnar nerve pierces medial intermuscular septum to go into the posterior compartment.The medial cutaneous nerve of the arm and forearm pierces the deep fascia.Nutrient artery pierces the humerus.Reference: Vishram Singh Anatomy; 2nd edition; Page no: 95